A 40 year old male k/c/o DM-2 and is on oral hypoglycemic drugs presents to OPD for routine check up.Patient is obese with BMI of 28.5 kg/m2. His blood workup and vitals are as follows:Blood pressure=150/90 mm of Hg, Fasting glucose=118 mg/dl, Post-prandial glucose=154 mg/dl. Currently he is on low calorie diet and do regular exercise. What would you prescribe for the obesity in this patient?
1. Bariatric surgery
2. Diet modulation and exercise alone are enough
3. Anti-obesity drugs along with diet modulation and exercise
4. None of the above

Correct answer: 3. Anti-obesity drugs along with diet modulation and exercise

Explanation: Patient is obese with diabetes mellitus and hypertension . In this case anti-obesity drugs along with diet and exercise should be started. A GUIDE TO OPTING FOR TREATMENT FOR OBESITY TREATMENT BMI CATEGORY(kg/m2) 25-26.9 27-29.9 30-34.9 35-39.9 >=40 Diet,exercise,behavioral therapy With comorbidites With comorbidites + + + Pharmacotherapy - With comorbidites + + + Surgery - - - With comorbidites +